In idiopathic basal ganglia calcification, structure most often calcified
1. Caudate nucleus
2. Putamen
3. Globus pallidus
4. Striatum

Correct answer: 3. Globus pallidus

Explanation: Structure most often calcified - Globus pallidus.